What is used to prevent exposure in operation theatre?
1. Wooden partition
2. Lead gown
3. Nickle gown
4. Iron gown

Correct answer: 2. Lead gown

Explanation: Ans. is 'b' i.e., Lead gown Lead aprons are used for radioprotection in OT.